Superfoetation means:
1. Fertilization of two ova of same menstrual cycle by two different act of coitus
2. Uniovular twin pregnancy
3. Fertilization of second ovum in an already pregnant woman
4. Fertilization of two ova of same menstrual cycle by single act of coituss

Correct answer: 3. Fertilization of second ovum in an already pregnant woman

Explanation: Ans. C i.e. Fertilization of second ovum in an already pregnant women